Gastro-colic reflex is related to:
1. Mass peristalsis
2. Segmentation contractions
3. Pendular movement
4. irritable bowel

Correct answer: 1. Mass peristalsis

Explanation: Distension of the stomach by food initiates contractions of the rectum and, frequently, a desire to defecate. This response is called the gastrocolic reflex - related to mass movement (a modified form of peristalsis in large gut) This reflex is seen normally, particularly in children, and not necessarily related to an irritable bowel.